Which of the following embryonic structures gives rise to the adrenal cortex?
1. Ectoderm
2. Endoderm
3. Mesoderm
4. Mesonephros

Correct answer: 3. Mesoderm

Explanation: Mesoderm